Pain insensitive structure -
1. Middle cerebral artery
2. Choroid plexus
3. Dural sheath
4. Falx cerebri

Correct answer: 2. Choroid plexus